In Anaerobic glycolysis, there is gain of -
1. 2 ATP + 2 NAD
2. 2 ATP
3. 2 ATP + 2 NADH
4. 4 ATP + 2 FADH2

Correct answer: 2. 2 ATP

Explanation: Net gain in anaerobic glycolysis is only - 2 ATP. - 2 NADH are produced also (Glyceraldehyde-3-P dehydrogenase step) - But 2 NADH are used also (Lactate dehydrogenase step). Similarly - 2 NAD are produced also (Lactate dehydrogenase step) - But 2 NAD are used also (Glyceraldehyde-3-P dehydrogenase step). So there is no net gain of NADH or NAD.